Study suitable for rare diseases ?
1. Cohort study
2. Case-control study
3. Both of the above
4. None of the above

Correct answer: 2. Case-control study

Explanation: Ans. is 'b' i.e., Case-control study